Adenoid cystic carcinoma can cause following nerve lesion:
1. Facial nerve
2. Lingual nerve, facialnerve.
3. Hypoglossal nerve
4. All of the above

Correct answer: 4. All of the above

Explanation: Parotid tumor may cause facial palsy, while adenoid cystic carcinoma can cause multiple nerve lesions especially of lingual, facial or hypoglossal nerves.